Protective mechanism of inguinal canal ?
1. Obliquity of inguinal canal
2. Contraction of cremestric muscle
3. Contraction of conjoint tendon
4. All of the above

Correct answer: 4. All of the above

Explanation: Ans. is 'd' i.e., All of the aboveThere are following important physiological mechanisms that protect against formation of inguinal hernia with increased intra-abdominal pressure ?Shutter mechanism :The arching fibers of internal oblique and transverse abdominis (i.e. conjoint tendon) contract when the muscles of abdomen contract. This act as a shutter on the posterior wall to protect it from herniation.Closure mechanism :In addition, contraction during shutter mechanism also narrows the deep ring due to sphincter action of transverse abdominis and internal oblique at deep inguinal ring.Obliquity of inguinal canalBall valve action of cremestric causing plugging of inguinal canal.